Ventilation-perfusion ratio is maximum at
1. Apex of lung
2. Base of lung
3. Posterior lobe of lung
4. Middle of the lung

Correct answer: 1. Apex of lung

Explanation: Apical alveoli have low ventilation and perfusion per unit volume of the lung, whereas the basal alveoli have high ventilation and perfusion.
Ventilation-perfusion ratio and the PaO2 is maximum at the apex. PCO2 is maximum at the base.